Normal Fasting plasma glucose levels should be of what value in case of 75 mg GTT in pregnancy ?
1. <=105
2. <92
3. <=140
4. <=120

Correct answer: 2. <92

Explanation: The screening of gestational diabetes mellitus can be done between 24 to 28 weeks gestation. It is recommended by the American diabetes association that after 24 weeks all pregnant women should be screened for gestational diabetes mellitus with 75g, 2 hour Oral Glucose tolerance test. Normal Values- Fasting state < 92mg/dl After 1 hour< 180 mg/dl After 2 hours< 153 mg/dl Any one abnormal value is diagnsotic of GDM